Cowdry type A inclusion bodies are seen in ?
1. HBV
2. Herpesvirus
3. Adenovirus
4. Poxvirus

Correct answer: 2. Herpesvirus

Explanation: Ans. is 'b' i.e., Herpesvirus Intranuclear inclusion bodies were classified into two types by cowdry : a) Cowdry type A :- These are of variable size and granular in appearance, e.g. in herpesvirus and yellow fever virus. b) Cowdry type B :- These are more circumscribed and often multiple, as with adenovirus and poliovirus.